Duroziez's sign is seen in?
1. Aortic Regurgitation
2. Aortic Stenosis
3. Mitral Stenosis
4. Mitral Regurgitation

Correct answer: 1. Aortic Regurgitation

Explanation: Duroziez's sign is seen in severe aortic regurgitation 1. Duroziez Sign - Gently press the femoral artery using stethoscope | Murmur in heart d/t turbulence | To and fro murmur Arterial pulse seen with aortic regurgitation : 2. Corrigan's pulse -Water hammer pulse 3. Quincke's sign - Flushing and blanching at distal part of nail 4. Traube Sign - Pistol shot sounds heard at femoral artery